Chemotaxis in response to activation of cells results in-
1. Random multidirectional movement
2. Unidirectional motion
3. Adhesion to endothelium
4. Augmeted oxygen dependent bactericidal effect

Correct answer: 2. Unidirectional motion

Explanation: Ans. (b) Unidirectional motion(Ref: 9th/pg 77; 8th/pg 50)Unidirectional movement9 of the leukocytes towards site of injury along a chemical gradient.Exogenous QBacterial products: N-formylmethionine terminal amino acid Q and some lipidsEndogenous Products*. Complement system-C5a Q*. Arachidonic acid (AA) metabolites-LTB4 Q*. Cytokines- IL-8 Q